Undisplaced fracture patella treated with
1. Tube Cast
2. Nailing
3. Tension band wiring
4. Observation

Correct answer: 1. Tube Cast